Legally - Abortion is termination of pregnancy :
1. Before 6 weeks
2. Before 16 weeks
3. Before 26 weeks
4. None

Correct answer: 4. None